Beta blockers are antiarrhythmic agents of class:
1. I
2. II
3. III
4. IV

Correct answer: 2. II